The number of base pairs in human diploid genome are:
1. 2 billion base pairs (bp)
2. 3 billion base pairs (bp)
3. 5 billion base pairs (bp)
4. 6 billion base pairs (bp)

Correct answer: 4. 6 billion base pairs (bp)

Explanation: Genome Base pairs Haploid 3 billion Diploid 3 x 2 = 6 billion Value based one liners Average size of a gene 27,000 bp Protein coding genes 19000 to 20000 only Percentage of exons 1-2 % of human genome Percentage of Adenine in human genome 54 % (most abundant base) Longest/ largest gene DMD gene, codes for muscle protein Dystrophin Largest protein Titin Most abundant proteins in mammals Collagen Number of proteins in human body > 2.5 lakh Number of SNPs in human genome 3 million Maximum number of genes are present for Olfactory receptors